Contraindiction for estrogen therapy nearly are all except:
1. Uterine cancer
2. Breast cancer
3. Hypertension
4. Previous H/O thromboembolism

Correct answer: 3. Hypertension

Explanation: Ans. is c, i.e. HypertensionRef: Williams Gynae 3rd/ed, p495Absolute C/I for use of Estrogen:1. Undiagnosed abnormal genital bleeding2. Known/suspected or H/O breast cancer3. Known/suspected estrogen dependent tumor4. Active or prior venous thromboembolism or any thromboembolic disease5. Liver dysfunction or disease6. Known or suspected pregnancy.